"EMA-CO regimen" is useful in Rx of
1. Metastatic breast cancer
2. Advanced endometrial sarcoma
3. Gestational trophoblastic neoplasia
4. Ovarian tumor with peritoneal implants

Correct answer: 3. Gestational trophoblastic neoplasia

Explanation: EMA-CO a cyclic non-cross-resistant combina on of etoposide, methotrexate, and dactinomycin alternating with cyclophosphamide and vincristine.